Features of neurogenic shock are
1. ↑Peripheral resistance ↓ cardiac output
2. ↑ Venous return ↑ cardiac output
3. ↓Peripheral resistence↓cardiac output
4. Venoconstriction ↓cardiac output

Correct answer: 3. ↓Peripheral resistence↓cardiac output